If fracture of mandible occurs distal to lost tooth, the treatment of choice:
1. Closed reduction with IMF
2. Open reduction with bone plating
3. Open reduction with interosseous wiring
4. Closed reduction with cap splint

Correct answer: 2. Open reduction with bone plating